HPV causes which change in cervical epithelial:
1. Induction of apoptosis
2. Induction of necrosis
3. Immortalization of epithelial cells
4. None of the above

Correct answer: 3. Immortalization of epithelial cells

Explanation: Ans. c. Immortalization of epithelial cells